Treatment of acne-
1. 13 cis retionol
2. Minocycline/Tetracycline
3. Erytromycin
4. All

Correct answer: 4. All

Explanation: A i.e. 13 cis retionol; B i.e. Minocycline; C i.e. Erytromycin